Botulism causes
1. Descending flaccid paralysis
2. Descending spastic paralysis
3. Ascending paralysis
4. Ascending spastic paralysis

Correct answer: 1. Descending flaccid paralysis

Explanation: Clostridium botulinum produces Type A toxin. It acts by blocking the production or release of acetylcholine at the synapses and neuromuscular junction. Thus block neuromuscular transmission. Onset is marked by diplopia, dysphagia, and dysarthria due to cranial nerve involvement. Symmetric descending flaccid paralysis is a characteristic pattern, ending in death by respiratory paralysis. Reference: Textbook of Microbiology; Anathanarayan and paniker's; 10th edition; Page no: 269